Toxic shock syndrome is caused by -a) Streptococcus pyogenesb) Staphylococcus aureusc) Strept albicansd) E.durans
1. ac
2. ab
3. ad
4. bc

Correct answer: 2. ab

Explanation: Toxic shock syndrome 

TSS is a potentially fatal multisystem disease characterized by sudden high fever, fainting, watery diarrhea, headache and muscle ache.


There are two types of TSS :-

1.    Staphylococcal TSS
- Staphylococcal TSS results from the elaboration of toxic shock syndrome toxin type-1 (TSST-1) also known as enterotoxin type F or pyrogenic exotoxin C.
- Enterotoxin B or C may also produce TSS.
2.    Streptococcal TSS
 - Streptococcal TSS results from the elaboration of pyrogenic exotoxin A.